Blood supply to Eustachian tube is
1. Acending pharyngeal
2. Middle meningeal
3. Artery of pterygod canal
4. All

Correct answer: 4. All

Explanation: BLOOD SUPPLY OF EUSTACHIAN TUBE: 1.Ascending pharyngeal artery 2.Middle meningeal artery 3.Artery of pterygoid canal NOTES: Eustachian tube is also called auditory tube or pharyngotympanic tube Ref BDC volume3,sixth edition pg 237